Treatment of choice in 65-year-old female with impacted # neck of the humerus is -
1. Triangular sling
2. Arm chest strapping
3. Arthroplasy
4. Observation

Correct answer: 1. Triangular sling

Explanation: Impacted fracture of surgical neck humerus is treated by rest of the arm in triangular sling.